Which is true of ivermectin
1. It is the most effective drug for strongyloidiasis
2. It is drug of choice for onchocerciasis
3. It can be used to treat scabies
4. All the above a

Correct answer: 4. All the above a

Explanation: Ref-KDT 6/e p813,814 Ivermectin is the drug of choice for onchocerciasis (river blindness) and strongyloidosis. It is also effective against other filarial worms It can also be used orally for the treatment of scabies and pediculosis. DEC is contraindicated in onchocerciasis